High priority in triage is for -
1. Red color
2. Yellow color
3. Green color
4. Black color

Correct answer: 1. Red color

Explanation: Ans. is 'a' i.e., Red colour o The most common triage classification system used international is four colour code system.1. Red- High priority treatment or transfer2. Yellow- Medium priority3. Green- Ambulatory patients4. Black- Dead or moribund patients